Anovulatory cycles are characterized by which of the following?
1. Elevated levels of plasma progesterone
2. Dysmenorrhea
3. A shortened luteal phase
4. Lack of a normal LH and FSH surge

Correct answer: 4. Lack of a normal LH and FSH surge

Explanation: The luteal phase of the menstrual cycle follows ovulation and is characterized by an increase in progesterone secretion by the corpus luteum. With anovulatory cycles, the corpus luteum does not form and progesterone levels remain low. Furthermore, with anovulatory cycles, the characteristic surge of LH and FSH at midcycle is absent and menses are usually painless. Irregular estrogen breakthrough bleeding that occurs with anovulatory cycles is the consequence of persistent ovarian estradiol secretion and an absence of luteal-phase progesterone secretion.